All are cause of Respiratory distress in newborn and Ipsilateral shift of mediastinum
1. Alelectasis
2. Lung collapse
3. Pulmonary hypoplasia
4. Hyaline membrane disease

Correct answer: 4. Hyaline membrane disease

Explanation: No mediastinal shift in hyaline membrane disease.